Omalizumab is
1. Interleukin 2 receptor blocker
2. Anti IgE antibody
3. Anti IgM antibody
4. Leukotriene receptor blocker

Correct answer: 2. Anti IgE antibody

Explanation: ANTI-IgE ANTIBODY Omalizumab It is a humanized monoclonal antibody against IgE. Administered s.c., Mech of action:- It neutralizes free IgE in circulation without activating mast cells and other inflammatory cells. On antigen challenge, little IgE is available bound to the mast cell surface receptors (FceR1) to trigger mediator release and cause bronchoconstriction. In severe extrinsic asthma, omalizumab has been found to reduce exacerbations and steroid requirement. No benefit has been noted in nonallergic asthma. Ref:- kd tripathi; pg num:-231